A 30 year old manic patient was prescribed haloperidol 3month back. For last two days he has become restless and kept pacing in he room for a day. On examination he was found to have tremors of hand. He is most likely to be suffering from:
1. Anhedonia
2. Dystonia
3. Restless leg syndrome
4. Akathisia

Correct answer: 4. Akathisia

Explanation: Ref: KDT 8TH ED. Continous purposeless to and fro movement without anxiety is called Akathisia. It is an extrapyramidal syndrome caused by D2 blockers like haloperidol.